Fleischer ring is due to
1. Iron deposition
2. Copper deposition
3. Aluminum deposition
4. Molybdenum Deposition

Correct answer: 1. Iron deposition

Explanation: (Refer: AK Khurana Comprehensive Ophthalmology, 6th edition, pg no. 194)Some confusion exists between Fleisher rings and Kayser-Fleischer (KF) ring. Kayser-Fleischer (KF) rings are caused by copper deposits and are indicative of Wilson's disease, whereas Fleischer rings are caused by iron deposits and are indicative of keratoconus.